Schilling test is used to test
1. Vitamin B12 deficiency
2. Vitamin A deficiency
3. Vitamin D deficiency
4. Vitamin B1 deficiency

Correct answer: 1. Vitamin B12 deficiency